A patient is admitted in a day care nursing home for a laparoscopic cholecystectomy. This patient is otherwise healthy. Anaesthetic of choice in this patient is:
1. Halothane
2. Propofol
3. Ketamine
4. Ether

Correct answer: 2. Propofol

Explanation: Propofol has a rapid onset of action. Awakening from a single bolus dose is also rapid due to a very short initial distribution half-life (2-8 min). Most investigators believe that recovery from propofol is more rapid and is accompanied by less "hangover" than recovery from methohexital, thiopental, ketamine, or etomidate. This makes it a good agent for outpatient anesthesia. Propofol's shorter duration of action after infusion can be explained by its very high clearance, coupled with the slow diffusion of drug from the peripheral to the central compartment. Ref: Butterworth IV J.F., Mackey D.C., Wasnick J.D. (2013). Chapter 9. Intravenous Anesthetics. In J.F. Butterworth IV, D.C. Mackey, J.D. Wasnick (Eds), Morgan & Mikhail's Clinical Anesthesiology, 5e.